All are the risk factors associated with macrosomia except :
1. Maternal obesity
2. Prolonged pregnancy
3. Previous large infant
4. Short stature

Correct answer: 4. Short stature

Explanation: Macrosomia is the term used to describe a large fetus. Risk factors: Maternal diabetes Maternal obesity Previous large baby Post-term pregnancy Multiparity TEXTBOOK OF OBSTETRICS, Sheila Balakrishnan, 2nd edition, Page no.389